Adrenal insufficiency in not associated with -
1. Hyponatremia
2. Hyperkalemia
3. Hypoglycemia
4. Metabolic alkalosis

Correct answer: 4. Metabolic alkalosis

Explanation: Ans. is 'd' i.e.. Metabolic alkalosis o Features of adrenal insufficiency (Addison's disease) are :-i) Hypoglycemiaii) Hyperpigmentationii) Hyperkalemiaiv) Hyponatremiav) Hypotensionvi) Metabolic acidosiso Associated features are nausea, vomiting, diarrhea and abdominal cramps.